‘Explosive’ growth rates occurs when annual rate of growth %
1. 0.5 – 1.0
2. 1.0 – 1.5
3. 1.5 – 2.0
4. >2.0

Correct answer: 4. >2.0